Which of the following is NOT used in treatment of hairy cell leukemia -
1. Steroid
2. Pentostatin
3. Splenectomy
4. alpha-interferon

Correct answer: 1. Steroid